Elastic laryngeal cartilage are all ,except(NEET/DNB Pattern)
1. Epiglottis
2. Corniculate
3. Cuneiform
4. Thyroid

Correct answer: 4. Thyroid

Explanation: The Thyroid and Cricoid cartilages, and the basal parts of the arytenoid cartilages are made up of hyaline cartilage.they may ossify after the age of 25 years.The other cartilages of the larynx, e.g. Epiglottis, Corniculate, Cuneiform and process of the arytenoid cartilages are made of elastic cartilage and do not ossify.